All of the following drugs may be used to relieve urinary spasms after urological procedures, EXCEPT:
1. Darifenacin
2. Oxybutynin
3. Tolterodine
4. Tiotropium

Correct answer: 4. Tiotropium

Explanation: Tiotropium is an anticholinergic used in patients with asthma and COPD. It is an anticholinergic (antimuscarinic agents). Its relaxant effects on the bladder are minimal and hence Tiotropium bromide has not been used for urinary disorders. Bladder Selective drugs are Oxybutynin, Tolterodine and Darifenacin are the vesico selective anti-muscarinic agents with high selectivity foe M3 receptors which may be used to relieve bladder spasms after urological procedures. Ref: KDT, 6th Edition, Page 111; The Overactive Bladder: Evaluation and Management By Kreder, 2007, Page 1127; Basic and Clinical Pharmacology By Beram Katzung, 10th Edition, Page 115